During the cardiac cycle the opening of the aortic valve takes place at the :
1. Beginning of systole
2. End of isovolumetric contraction
3. End of diastole
4. End of diastasis

Correct answer: 2. End of isovolumetric contraction

Explanation: B i.e. End of isovolumetric contraction